Which is the most common cause of papillary necrosis
1. Analgesics abuse
2. Chronic alcoholism
3. Acute pyelonephritis
4. Diabetes mellitus

Correct answer: 4. Diabetes mellitus

Explanation: Though all the options are causes of renal papillary necrosis, most common cause is Diabetes mellitus.